Class IV lupus nephritis is:
1. Mesangial lupus nephritis
2. Proliferative lupus nephritis
3. Membranous lupus nephritis
4. Diffuse lupus nephritis

Correct answer: 4. Diffuse lupus nephritis

Explanation: Classification of Lupus Nephritis Class I Minimal Mesangial Lupus Nephritis Class II Mesangial Proliferative Lupus Nephritis Class III Focal Proliferative Lupus Nephritis Class IV Diffuse Proliferative Lupus Nephritis Class V Membranous Lupus Nephritis Class VI Advanced Sclerotic Lupus Nephritis